The part of internal capsule associated with acoustic radiation is
1. Genu
2. Anterior limb
3. Sublentiform
4. Retrolentiform

Correct answer: 3. Sublentiform